Residual bodies are -
1. Mitochondria
2. Nucleus
3. Golgi apparatus
4. Lysosomes

Correct answer: 4. Lysosomes

Explanation: Ans. is 'd' i.e., Lysosomes o Lysosomes constitute an intracellular digestive system. They digest unwanted components of the cell itself as well as harmful extracellular substances entering the cell by phagocytosis or pinocytosis.o The lysosomes that pinched off from Golgi complex are called primary lysosomes.o After a primary lysosome has fused with the vacuole or vesicle containing the material to be digested, it forms thesecondary lysosome.o After the process of digestion has been completed, a secondary lysosome forms the residual body.o The residual body generally discharges its contents by exocytosis.o Sometimes, however, residual bodies containing some indigestible substances may be retained in the cell,o Such collections of residual bodies gradually increase with age, and are believed to contribute to impairment of physiological function associated with the process of aging.